Incised wounds on genitalia:
1. Homicidal
2. Suicidal
3. Accidental
4. Self-inflicted

Correct answer: 1. Homicidal

Explanation: Ans. Homicidal